Investigation of choice for evaluation of acute head injury:
1. CECT Head
2. NCCT Head
3. MRI Brain
4. CT Angiography

Correct answer: 2. NCCT Head

Explanation: Ans. NCCT Head